Lipoprotein (a) resembles:
1. Plasmin
2. Plasminogen
3. Thrombin
4. Prothrombin

Correct answer: 2. Plasminogen

Explanation: Lipoprotein (a) Resembles with Plasminogen Contains LDL + Apo 'a'. Interferes with activation of Plasminogen to Plasmin - Intravascular Thrombosis. Associated with an increased risk for coronary artery disease (CAD) Differentiating points between Lipoprotein 'A' and Lipoprotein 'a': HDL is known as alpha-Lipoprotein or Lipoprotein (A). So Lipoprotein (A) prevents atherosclerosis (as it is HDL) But Lipoprotein (a) causes atherosclerosis (as it contains LDL).